Persistent belief in something which is not a fact is -
1. Illusion
2. Hallucination
3. Delusion
4. Delirium

Correct answer: 3. Delusion

Explanation: A delusion is false, firm (unshakable) belief which are not in keeping with patient's socio-cultural and educational background.